Post partum hemorrhage in a spontaneous delivery is commonly due to:
1. Traumatic
2. Uterine atony
3. Blood coagulopathy
4. Mixed causes

Correct answer: 2. Uterine atony

Explanation: Ans. B: Uterine Atony Atonic uterus is the most common cause of PPH (80%) followed by traumatic (20%)